Deiters cells are present in
1. Organ of Corti
2. Scala media
3. Pharynx
4. Larynx

Correct answer: 1. Organ of Corti

Explanation: Deiters' cells, also known as phalangeal cells are found within the organ of Corti.The organ of Corti is located in the scala media of the cochlea of the inner ear between the vestibular duct and the tympanic duct and is composed of mechanosensory cells, known as hair cells. Strategically positioned on the basilar membrane of the organ of Corti are three rows of outer hair cells (OHCs) and one row of inner hair cells (IHCs). Separating these hair cells are supporting cells called Deiters cellsReference: Krishna Garg Histology; 5th edition; Page no: 258